The beneficial effect of oxygen therapy in histotoxic
hypoxia is about
1. 0%
2. 50%
3. 100%
4. 30%

Correct answer: 1. 0%